Following are seen in polycythemia vera except:
1. Most common cause of polycythemia
2. Increased erythropoietin
3. Erythropoietin independent growth of red cell progenitors
4. Intrinsic abnormality of hematopoietic precursors

Correct answer: 2. Increased erythropoietin

Explanation: Ans. B: Increased erythropoietin The combination of iron deficiency anemia, glossitis and esophageal dysphagia usually related to the webs is known as the Plummer Vinson syndrome or Paterson Kelly syndrome. Plummer-Vinson syndrome/PVS/Paterson-Brown-Kelly syndrome/sideropenic dysphagia It presents as a triad of dysphagia (due to esophageal webs), glossitis, and iron deficiency anemia. In primary polycythemia, there may be 8 to 9 million and occasionally 11 million erythrocytes per cubic millimeter of blood (a normal range for adults is 4-6), and the hematocrit may be as high as 70 to 80%. In addition, the total blood volume sometimes increases to as much as twice normal.